All the following statement regarding this radiological film representing esophagus is true except?
1. Squamous cell usually affects the upper two-thirds
2. Adenocarcinoma usually affects the lower-third
3. Lymph node involvement is a bad prognostic factor
4. Dysphagia is the most common and early presenting symptom

Correct answer: 4. Dysphagia is the most common and early presenting symptom

Explanation: Ans. (d) Dysphagia is the most common and early presenting symptom.Carcinoma of the esophagus* Squamous cell usually affects the upper two-thirds; adenocarcinoma usually affects the lower-third* Common etiological factors are tobacco and alcohol (squamous cell) and GORD (adenocarcinoma)* The incidence of adenocarcinoma is increasing* Lymph node involvement is a bad prognostic factor* Dysphagia is the most common presenting symptom, but is a late feature* Accurate pretreatment staging is essential in patients thought to be fit to undergo 'curative' treatmentImage source- style="font-family: Times New Roman, Times, serif">